In a newborn child, abduction and internal rotation produces a click sound. It is -
1. Ortolani's sign
2. Telescoping sign
3. Lachman's sign
4. Mc Murray's sign

Correct answer: 1. Ortolani's sign

Explanation: Barlow's test
Part 1 → Click sound (clunck) of dislocation on adduction.
Part 2 → Click sound (clunck) of reduction on abduction.
Ortolanis test

Click sound (clunk) of reduction on abduction.

Note :

If both Barlow's test and ortolani's test are given as options in the same question, go ahead with ortolani's test as some clinicians do not consider part 2 as Barlow's test.